Trapezoid body is associated with
1. Auditory pathway
2. Visual pathway
3. Touch pathway
4. Pain pathway

Correct answer: 1. Auditory pathway

Explanation: Ans: a (Auditory pathway) Ref: IB Singh 6th ed/p. 107Trapezoid body is concerned with auditory pathway.Auditory Pathway:First order neurons start from the spiral ganglion and end in the dorsal and ventral cochlear nuclei.From there, the second order neurons end in superior olivary nucleus of both sides. Some fibres do not relay in superior olivary nucleus, instead go through the Trapezoid body.From both the trapezoid body and superior olivary nuclei, the fibres pass through the lateral lemniscus, to reach the inferior colliculus.From there, it goes to the medial geniculate body and is projected to superior temporal gyrus. Note:-Fibres arising from the ventral cochlear nucleus pass through the trapezoid body.Some fibres arising from the dorsal cochlear nucleus does not pass through the trapezoid body and project directly into the superior colliculus.Superior olivary nucleus receives fibres from both cochlea (bilateral).Fibres from both dorsal and ventral cochlear nucleireach superior olivary nucleus.